All of the following are division of the Vth cranial nerve except
1. Ophthalmic
2. Optic
3. Mandibular
4. Maxillary

Correct answer: 2. Optic

Explanation: Fifth cranial nerve comprises three branches, two of which are purely sensory and third, the largest branch is mixed nerve. Ophthalmic, the first division carries sensory fibres from the structures derived from frontonasal process. Maxillary, the second division conveys afferent fibres from structures derived from maxillary process. Mandibular, the third mixed division carries sensory fibres derived from mandibular process. Ref: BD Chaurasia's HUMAN ANATOMY, Volume 3, 4th edition.